Consider the following transient physiological changes . Which of the above changes transiently occur in a person exposed to noised pollution ?
1. Increased in blood pressure, Decreased in intracranial pressure, dilatation of the pupils and Increase in breathing rate
2. Dilatation of the pupils and Increase in breathing rate
3. Increased in blood pressure and Increase in breathing rate
4. Increased in blood pressure and Decreased in intracranial pressure

Correct answer: 3. Increased in blood pressure and Increase in breathing rate

Explanation: Physiological changes: a rise in blood pressure, a rise in intracranial pressure, an increase in heart rate, breathing and sweating. Park's textbook of preventive and social medicine. 22nd edition page. 689